The most radiosensitive phase of cell cycle is:
1. G2M interface
2. G2
3. S
4. M

Correct answer: 1. G2M interface

Explanation: Radiosensitivity of the cell cycle pahses : G2M > M > G2> G1> S. G2M is most Radiosensitive phase and S phase is most radioresistant phase